Pachymeter is used to measure
1. Corneal thickness
2. Corneal diameter
3. Corneal density
4. Conjuctival thickness

Correct answer: 1. Corneal thickness

Explanation: A pachymeter is a medical device used to measure the thickness of the eye's cornea. It is used to perform corneal pachymetry prior to refractive surgery, for Keratoconus screening, LRI surgery and is useful in screening for patients suspected of developing glaucoma among other uses. Ref khurana 6/e